Renal damage due to amphotericin B are all, except -
1. Azotemia
2. Renal tubular acidosis
3. Glomerulonephritis
4. Hypokalemia

Correct answer: 3. Glomerulonephritis